Which receptors are blocked in Myasthenia Gravis.
1. Ach receptors
2. Calcium receptors
3. Sodium receptors
4. Opioid receptors

Correct answer: 1. Ach receptors

Explanation: Ref. Guyton. 13th edition. Page.  96
Myasthenia gravis is an autoimmune disease characterized by autoantibodies against the acetylcholine (ACh) receptor of the neuromuscular junction, result- ing in muscular weakness predominantly affecting the facial muscles. Females are affected more frequently than males.

Extra ocular muscle weakness may lead to ptosis and diplopia; the weakness worsens with repeated contractions.
Respiratory muscle involvement may lead to death. 

There is an association with thymic hyperplasia and thymomas.
Treatment is anticholinesterase agents, steroids, and thymectomy.